Hematocrit relates to which of the following:
1. Total blood volume
2. Total RBC volume
3. Total WBC volume
4. Plasma filtrate

Correct answer: 2. Total RBC volume